Gestation sac is picked up by USG earliest at
1. 5 - 6 weeks of gestation
2. 6 - 8 weeks of gestation
3. 8 - 10 weeks of gestation
4. 12 weeks of gestation

Correct answer: 1. 5 - 6 weeks of gestation

Explanation: Earliest by 4 1/2 weeks of gestation.